Cofactor for dopamine hydroxylase ?
1. Fe
2. Mg
3. Mn
4. Cu

Correct answer: 4. Cu

Explanation: Dopamine 8-hydroxylase is a 'copper' containing monooxygenase that requires ascorbic acid and molecular oxygen.It catalyzes the formation of norepinephrine.